Most of the iron in the diet is in the ferric (Fe3+) form. It is actively absorbed in:
1. Stomach
2. Duodenum
3. Large intestine
4. Ileum

Correct answer: 2. Duodenum

Explanation: Gastric secretions dissolve the dietary iron and permit it to form soluble complexes with ascorbic acid and other substances that aid its reduction to the Fe2+ form. Almost all iron absorption occurs in the duodenum. Transport of Fe2+ into the enterocytes occurs divalent metal transporter 1 (DMT1). Ref: Barrett K.E., Barman S.M., Boitano S., Brooks H.L. (2012). Chapter 26. Digestion, Absorption, & Nutritional Principles. In K.E. Barrett, S.M. Barman, S. Boitano, H.L. Brooks (Eds), Ganong's Review of Medical Physiology, 24e.